A 50-year-old chronic alcoholic and smoker presents with intermittent episodes of epigastric pain, nausea and vomiting, along with features of malabsorption since the past 6 months. He has lost 12 kg over the last year and was hospitalized for 3 days, 3 years ago with acute abdominal pain. Serum amylase and lipase are only mildly elevated. A CT-scan of the abdomen was done along with MRCP. What is the possible diagnosis:- CECT ABDOMEN MRCP
1. Acute pancreatitis
2. Chronic pancreatitis
3. Pancreatic cancer
4. Pancreatic pseudocyst

Correct answer: 2. Chronic pancreatitis

Explanation: The patient has chronic pancreatitis (CP) likely due to chronic alcoholism It is characterised by intermittent episodes of epigastric pain with some symptom-free intervals. Patients with Chronic pancreatitis have weight loss due to chronic malabsorption. Serum amylase/lipase are normal or nondiagnostic. CT demonstrates pancreatic calcifications suggestive of Chronic pancreatitis, and also helps to rule out pancreatic CA or pseudocyst. MRCP shows Atrophic pancreas with irregular dilatation of pancreatic duct, and multiple intraductal calculi